False about anthrax is
1. Caused by Gram positive bacilli
2. Soil reservoir
3. Spore formation takes place
4. More common in carnivorous than herbivores

Correct answer: 4. More common in carnivorous than herbivores

Explanation: The anthrax bacillus is one of the largest of pathogenic bacteria which is gram-positive and non-acid fast. it is present in soil, it does form spores, infection of animals is spores from the soil. Reference: Textbook of Microbiology; Anathanarayan and panicker's; 10th edition; Page no: 248